C wave in JVP indicates
1. Arterial contraction
2. Bulging of tricuspid Valve
3. Ventricle systole
4. Rapid ventricular filling

Correct answer: 2. Bulging of tricuspid Valve

Explanation: Ref Harrison 19 th ed pg 1485 The ' c' wave in JVP is a positive wave producd by the bulging of tricuspid Valve into the right atruat during right ventricular isovolumetric systils and by the impact of the carotid artery adjacent to the jugular vein.